Vaccine contraindicated in pregnancy
1. Hep A
2. Varicella
3. Rabies
4. Hep B

Correct answer: 2. Varicella

Explanation: In pregnancy all live vaccines are contraindicated except yellow fever. Ref:- K Park, 24th ed; pg num:- 108